Gene affected in Ewings sarcoma is ?
1. EWS-FLI 1
2. PAX 3
3. EWS ATF 1
4. FUS-CHOP

Correct answer: 1. EWS-FLI 1

Explanation: Ans, is 'a' i.e., EWS FLI 1